Floor of 4th ventricle is not formed by?
1. Posterior surface of pons
2. Sulcus limitans
3. Posterior surface of medulla
4. Inferior medullary velum

Correct answer: 4. Inferior medullary velum

Explanation: Inferior medullary velum